Extended activity of ii-lactamases inactivate ?
1. Cephalosporins-III generation
2. Macrolides
3. Quinolone
4. Aminoglycosides

Correct answer: 1. Cephalosporins-III generation

Explanation: Ans. is 'a' i.e., Cephalosporins-III generation ESBL are lactamases that mediate resistance (by hydrolyzing) to extended spectrum (third generation) cephalosporins, penicillins and monobactams (e.g. aztreonam).